ANCA associated with Wegner's granulomatosis?
1. cANCA
2. pANCA
3. Both
4. None

Correct answer: 1. cANCA

Explanation: Wegener granulomatosis is a necrotising vasculitis characterised by specific triad . Granuloma of the lung or the upper respiratory tract . Vasculitis of small to medium sized vessel most prominently in the lungs and upper respiratory tract . Glomerulonephritis Initiated by cell mediated hypersensitivity response PR3-ANCAs are present in 95 percent of cases and probably drive the subsequent tissue injury Robbins 9 th edition page no. 353